Weight loss may be seen in all of the following except -
1. Uremia
2. Pheochromocytoma
3. Adrenal insufficiency
4. Insulinoma

Correct answer: 4. Insulinoma